Pelvic exentration is known as ?
1. Miles Operation
2. Lyods operation
3. Finch operation
4. Brunshwings operation

Correct answer: 4. Brunshwings operation

Explanation: Ans. is 'd' i.e., Brunschwig's operation